A 58-year-old male presented to emergency with complains of upper GI bleed and the patient was resuscitated. Upper GI endoscopy revealed no significant findings. CECT abdomen was done which revealed an extra-luminal mass. Then CT guided biopsy was taken for histopathological examination revealed the diagnosis as follows. Most specific marker for the above condition is: -
1. C-kit
2. CD 34
3. DOG-1
4. PDGFR-alpha

Correct answer: 3. DOG-1

Explanation: All the above-mentioned options are markers of GIST but most specific marker is DOG-1. It is especially helpful for GIST negative for CD 117(c-kit) &CD 34. Most common site of GIST is stomach. Upper GI endoscopy is usually normal because of extraluminal mass so usually detected on CT scan. CECT Is IOC for GIST. BUT for recurrent GIST IOC Is PET Scan.